A colles fracture is
1. Common in adolescence
2. A fracture about the ankle joint
3. Common in elderly women
4. A fracture of head of the radius

Correct answer: 3. Common in elderly women

Explanation: C i.e. Common in elderly women Coll's fracture is fracture of lower end of radius at its cortico cancellous junctionQ (- 2.5 cm / 1.5 inch above the distal articular surface) mostly occuring in post menopausal osteoporotic elderly womenQ ; as a result of fall on outstretched hand. (with wrist in extension). It is most common of all fractures in older people.